Hershey chase experiment was done on:
1. Lactobacillus
2. Tuberculous bacteria
3. Bacteriophages
4. Mycoplasma

Correct answer: 3. Bacteriophages

Explanation: Hershey chase experiment To see whether it is DNA or protein which enters host cell to act as genetic material. Done on bacteriophages. Viruses don't have their own machinery of reproduction. So they attach to the host cells (bacteria) and transfer their genetic material into the host cell and bacteria then produce viruses. Host for infection was E.coli bacteria. E.coli bacteria that were infected by radioactive DNA viruses were radioactive but the ones that were infected by radioactive protein viruses were non-radioactive.